Incubation period of Hepatitis B virus
1. 8-10 days
2. 30-180 days
3. 1 year
4. 2 years

Correct answer: 2. 30-180 days

Explanation: Incubation Period of Hepatitis B virus is 30-180 days Ref: 25th edition, Park's Textbook of Preventive and Social Medicine, Page no. 234